MC deficient enzyme in Congenital adrenal hyperplasia:
1. 21-hydroxylase deficiency
2. 18-hydroxylase deficiency
3. 3-beta-hydroxysteroid dehydrogenase deficiency
4. 17-alpha hydroxylase deficiency

Correct answer: 1. 21-hydroxylase deficiency

Explanation: Ans. A i.e. 21-hydroxylase deficiency